The minimum requirements for chemically activated resins used for repair applications of denture bases are identified in ADA specification number
1. 15
2. 13
3. 14
4. 12

Correct answer: 2. 13

Explanation: ANSI/ADA Specification No. 13—Denture Cold-Curing Repair Resins: 1981 (Reaffirmed 1999) 
This specification is for pink and clew denture repair resins of powdered-liquid type which are used primarily for the repair of acrylic resin denture bases. It is restricted for materials which contain monomers and comonomers, usually of the acrylic type of mixtures thereof. which are capable of auto-initiated polymerization and which bond to denture base polymers of compasit ion outlined in the ANSI/ADA Specification No. 12 for Denture Base Polymers.